Laryngeal mask Airway (LMA) is used for –
1. Maintenance of the airway
2. Facilitating laryngeal surgery
3. Prevention of aspiration
4. Removing oral secretions

Correct answer: 1. Maintenance of the airway

Explanation: LMA is very effective in mainting a patent airway in spontaneously breathing patient.